Which of the following drug increase activity, of warfarin-
1. OCP
2. Erythromycin
3. Griseofulvin
4. Phenytoin

Correct answer: 2. Erythromycin

Explanation: Ans. is 'b' i.e., Erythromycin